Irreversible cell injury is due to?
1. Membrane damage
2. Bleb formation
3. Loss of microvilli
4. Detachment of ribosomes

Correct answer: 1. Membrane damage

Explanation: Membrane damage is the central pathogenic process in irreversible injury
All other changes occur in reversible injury.